Earliest and most pathognomic feature of malginant hyperthermia is
1. Increased temperature
2. Increased end-tidal CO2
3. Increased heart rate
4. Increased respiratory rate

Correct answer: 2. Increased end-tidal CO2

Explanation: Increased CO2 production is earliest sign of malignant hyperthermia.